In pregnancy which viral infection has maximum mortality?
1. Hepatitis A virus
2. Hepatitis B virus
3. Hepatitis C virus
4. Hepatitis E virus

Correct answer: 4. Hepatitis E virus

Explanation: HEV hepatitis is an enterically transmitted, waterborne infection occurring primarily beyond the years of infancy. HEV is endemic in India where it is caused by fecal con- tamination of drinking water. Prevalence rates of anti-HEV IgG antibodies approach 40% in the Indian population. Epidemics have been reported from Asia, sub-Saharan Africa, and Mexico. Sporadic infection seems to be uncom- mon; it is seen mainly in travelers and accounts for more than 50% of cases of sporadic acute viral hepatitis in India. In most cases, the disease is self-limited; HEV is not associated with chronic liver disease or persistent viremia. A characteristic feature of the infection is the high mortality rate among pregnant women approaching 20% ref Robbins 9/e p 619